Mammary gland is modified?
1. Merocrine gland
2. Sebaceous gland
3. Apocrine sweat gland
4. Mucous gland

Correct answer: 3. Apocrine sweat gland

Explanation: Mammary gland is modified apocrine sweat gland.